Drug of choice against influenza is -
1. Acyclovir
2. Gancyclovir
3. Zanamivir
4. Indinavir

Correct answer: 3. Zanamivir

Explanation: Specific antiviral therapy is available for influenza ( Table 187-3 ): the neuraminidase inhibitors zanamivir, oseltamivir, and peramivir for both influenza A and influenza B and the adamantane agents amantadine and rimantadine for influenza A. A 5-day course of oseltamivir or zanamivir reduces the duration of signs and symptoms of uncomplicated influenza by 1-1.5 days if treatment is started within 2 days of the onset of illness. (Harrison's Principles of internal medicine, 20th edition, page 1497)